Not true about carcinoma penis is -
1. Erythroplasia of Queret is a precancerous condition
2. 40% of pts are under 40 year of age
3. Circumcision if done any time before puberty provides 100% protection against carcinoma penis
4. More than 50% pt. have inguinal 1.n enlargement when they prese

Correct answer: 3. Circumcision if done any time before puberty provides 100% protection against carcinoma penis

Explanation: The circumcision that is done soon after birth in infancy gives almost complete immunity against Ca penis, but that done later in life does not have the same effect, so Muslims circumcised between the ages of 4 and 9 years are still liable to the disease. About Ca Penis Most common histological type is - sq. cell Ca (98%) Erythroplasia of Queret is precancerous condition. It's the in-situ form of Ca Penis. Premalignant lesions of Ca Penis Penile cutaneous horn Balanitis xerotica obliterans Leukoplakia Viral (Human papilloma virus) related Dermatologic lesion Condyloma acuminata (also k/a genital warts) Bowenoid papulosis The one etiological factor most commonly associated with penile carcinoma is poor hygiene. Clinical features Age - Penile Ca occurs most commonly in the sixth decade of life, but its presentation in younger age group is not uncommon ("40% of pts are under 40 years of age" - Bailey) Most common complaint at presentation is the lesion itself. Pain is rare. Most common site of involvement (% from Cambell's Urology 8/e, p 29.53) Glans - ~48% Prepuce - ~21% Both Glans & Prepuce - 9% Coronal sulcus - ~6% Shaft - ~2% Lymph node involvement More than 50% of patients present with enlarged inguinal lymph nodes (but half of these are reactive enlargement d/t sepsis). The presence and the extent of metastasis to the inguinal region is the most important prognostic factor for survival in patients with Ca Penis. Distant metastasis is infrequent Diagnosis is made by biopsy of lesion. Treatment is discussed ahead. Ref : Bailey & Love 25/e p1374